Major signs according to the AIDS case definition of the WHO are all, except:
1. Prolonged fever more than 1 month
2. Generalized lymphadenopathy
3. Chronic diarrhoea > 1 month
4. Weight loss > 10% of body weight

Correct answer: 2. Generalized lymphadenopathy

Explanation: WHO case definition for AIDS: In an adult or adolescent (>12 years) Major Signs: Prolonged fever more than 1 month Chronic diarrhoea > 1 month Weight loss > 10% of body weight Ref: Park, 20th Edition, Page 298.